Minimum angle of resolution when visual acuity is 6/6
1. 1 min of arc
2. 5 min of arc
3. 10 min of arc
4. 15 min of arc

Correct answer: 1. 1 min of arc

Explanation: Answer-A. 1 min of arcVisual acuity is the first test performed after taking history.Measurement of the central visual acuity is essentially an assessment of function of the fovea centralis.An object must be presented so that each portion of it is separated by a difinite interval, known as minimum angle of resolution (MAR). Customarily, this interval has become one minute of an arc.The test object should subtends an angle of five minutes of an arc.